Which of the following anticancer drugs are competitive inhibitors of tyrosine kinase?
1. Imatinib and Sunitnib
2. Letrozole
3. Bicalutamide
4. Fulvestrant

Correct answer: 1. Imatinib and Sunitnib